Intra-epidermal intercellular deposition of IgG is associated with -
1. Pemphigus
2. Bullous pemphigoid
3. Dermatitis herpetiformis
4. Henoch schonlein purpura

Correct answer: 1. Pemphigus

Explanation: Ans. is 'a' i.e., Pemphigus Immunofluorescence in dermatologyDiseaseIgGIgMIgAC3FibrinIF patternAntigenPemphigus vulgaris++ ++ Intercellular- between epidermal cells.Network patternDesmoglein 3IgA pemphigus ++ Do Paraneoplastic pemphigus++++ DoDesmoplakinBullous pemphigoid++ ++ Linear deposits along BMZBP230 BPI80Epidermolysis bullosa acquisita++ ++ DoCollagen 7Dermatitis herpetiformis +++ Granular papillary tip deposits along BMZEpidermal transglutaminaseSLE++++ ++ Granular deposits along BMZ Lichen planus++++++Ovoid bodies with ragged fibrin band along BMZ Bullous SLE+++ Linear BMZ depositsCollagen 7Porphyria++\ +Perivascular and BMZ deposits Amyloid+++++-H- Globular deposits in tips of apillary dermis BMZ-Basement membrane zone